All of the following are glycoproteins except?
1. Blood antigen
2. Albumin
3. Immunoglobulin
4. hCG

Correct answer: 2. Albumin

Explanation: Ans. (b) Albumin ref. Harper 25/e, p 675; Lipincoft 2/e, p 157 Glycoprotein are proteins to which usually 2-10 oligosaccharides are covalently attached, e.g. Glycoprotein Ig Globular proteins except albumin Blood group antigen Mucin hCG, TSH Selectin Lectin HLA class I, II Secreted enzymes and proteins Glycophorin Transferrin, ceruloplasmin Collagen IFN 13 and y Alkaline phosphatase